The disorder associated with impulse to consume alcohol is called:
1. Kleptomania
2. Dipsomania
3. Pyromania
4. Nymphomania

Correct answer: 2. Dipsomania

Explanation: Ans: b (Dipsomania) Ref: Reddy, 27th ed, p. 412Irresistable desire for alcoholic drinks - Dipsomania.Note:Impulse control disordersKleptomania: Irresistable desire to steal.Pyromania: Irresistable desire to set fire.Mutilomania: Irresistable desire to mutilate animals.Trichotillomania: Irresistable desire to pluck hairs.- Erotomania is not an impulse control disorder, it is a delusion of love.